DIC is seen in which AML-
1. M1
2. M2
3. M3
4. M6

Correct answer: 3. M3

Explanation: In M3,M3v subtype of AML there is high incidence of DIC Ref: Robbins pathologic basis of disease ; 8th edition; pg 622; table13-10